'CURB-65' Includes-
1. PaO2 less than 65 mm
2. Severe Azotemia
3. Coagulopathy
4. Base deficit (acidosis)

Correct answer: 2. Severe Azotemia

Explanation: The CURB-65 criteria for pneumonia include five variables(a) Confusion (b)Urea>7 mmol/L,Respiratory rate>/= 30/min (d) Blood pressure,systolic <90 mmHg or diastolic<60 mmHg,(e) age >/= 65 years.CURB-65 score of 1 or 2 are likely to be suitable for home treatment.With a score of 2, patients should be admitted to hospital.Among patients with scores >/= 3,mortality rates are very high and require admission to an ICU. Reference:Harrison' s Medicine-18th edition,page no:2135.